Pain sensations from the ethmoidal sinus are carried by
1. Frontal Nerve
2. Lacrimal Nerve
3. Nasocilliary Nerve
4. Intraorbital Nerve

Correct answer: 3. Nasocilliary Nerve

Explanation: nasociliary nerve branch of ophthalmic division of trigeminal nerve carries pain sensation from ethmoid sinus. Ref Dhingra 6/e,p 188